Which antiglaucoma drugs can be used in Asthamatic patient
1. Timolol
2. Betoxolol
3. Propanolol
4. All the above

Correct answer: 2. Betoxolol

Explanation: Refer kDT 6/e p 145 Betaxolol is a selective beta1 receptor blocker used in the treatment of hypertension and glaucoma. Being selective for beta1 receptors, it typically has fewer systemic side effects than non-selective beta-blockers, for example, not causing bronchospasm as timolol may